Homes where children are placed under the care of doctors and psychiatrists are called -
1. Foster homes
2. Borstals
3. Remand homes
4. Child guidance clinics

Correct answer: 3. Remand homes

Explanation: In remand homes,the child is placed under the care of doctors,psychiatrists, and other trained personnel.REF.PARK'S TEXTBOOK OF PREVENTIVE AND SOCIAL MEDICINE.Editon-21.Page no.-543